Cyclodevelopmental stage is seen in -
1. Malaria
2. Filaria
3. Plague
4. Cholera

Correct answer: 2. Filaria

Explanation: (A) propagative: The agent merely multiplies in the vector but no change in the form e.g plague bacilli in rat fleas (B) cyclopropagative : The agent changes in number and form e.g malaria parasite in the mosquito (C) cyclodevelopmental: The disease agent undergoes only developmental but no multiplication e.g microfilaria in mosquito (refer pgno:98 park 23 rd edition)